Temporal lobe contai ns -
1. Primary visual area
2. Primary auditory' area
3. Broca's area
4. Prefrontal area

Correct answer: 2. Primary auditory' area

Explanation: Ans. is 'b' i.e., Primary auditory areaFunctional areas of cerebral cortexo Frontal lobe has following functional areasPrimary motor cortex (Brodmann's area 4) : Located in precentral gyrus and anterior part of paracentral lobule.Premotor cortex (areas 6, 8) : Located anterior to precentral gyrus on lateral surface.Supplementary motor area (areas 6, 8) : Located on medial surface of paracentral lobule in front of area 4.Frontal eye field (area 6, 8, 9) : Located in posterior part of middle frontle gyrus.Broca's motor speech area (area 44, 45) : It is located in posterior part of inferior frontal gyrusin the dominant hemisphere (left hemisphere in 90% individuals).Prefrontal area (areas 9,10,11,12) : Located in anterior part of frontal lobe,o Parietal lobe consistsPrimary somatosensory cortex (areas 3,1, 2) : Located in postcentral gyrus and posteior part of paracentral lobule.Somatosensory association areas : These areas areSuperior parietal lobule (areas 5, 7Supramarginal gyrus (area 40)iii) A ngular gyrus (area 39)o Temporal lobe containsi) Primary auditory area (areas 41,42) : Located in the anterior part of transverse temporal gyri of Heschl. and posterior part of superior temporal gyrus.ii)Auditory association cortex (secondary auditory area or area 22) : It also includes Wernick's speech and is located in the posterior part of superior temporal gyrus.o Occipital lobe hasi) Primary visual cortex (strike area, area 17): It is present in medial surface of occipital lobe on upper lip and lower lip of calcarine sulcus.ii) Visual association areas (secondary visual area, areas 18, 19) : It include parastriate (area 18) and peristriate (area 19) areas of occipital lobe. It also contains occipital eye field on lateral surface.